Hanging cast is used in -
1. # Femur
2. # Radius
3. # Tibia
4. # Humerus

Correct answer: 4. # Humerus

Explanation: Most of the closed fractures can be treated by "hanging cast" from shoulder to wrist with the elbow flexed to 90°.
Other methods of conservative treatment are U-slab, chest arm bandage, and functional cast brace (Sarmiento).